Arteries which take part in Kiesseibach's plexus include all except:
1. Anterior ethmoidal
2. Greater palatine
3. Superior labial
4. Inferior labial

Correct answer: 4. Inferior labial

Explanation: Kiesselbach's plexus is formed by four vessels:#Sphenopalatine artery#Greater palatine artery#Septal branch of superior labial artery#Anterior ethmoidal artery